Investigation of choice for diagnostic evaluation of hydrocephalus in one month old child :
1. X-ray skull
2. USG
3. CT
4. MRI

Correct answer: 2. USG

Explanation: Investigation of choice for hydrocephalus in infant is USG.